In AML best prognosis is seen with
1. Acute megakaryocytic leukemia
2. Acute monocytic leukemia
3. Acute promyelocytic lukemia (M3)
4. Erythroleukemia

Correct answer: 3. Acute promyelocytic lukemia (M3)

Explanation: - Acute Promyelocytic Leukemia (APML): characterized by a gene rearrangement involving retinoic acid receptor It is very responsive to all-trans retinoic acid (ATRA, tretinoin) combined with anthracyclines and cytarabine. The success of this therapy makes Bone marrow transplantation unnecessary in 1st remission. Arsenic trioxide is also an effective non-cytotoxic therapy for APML